Phase 2 of the action potential is due to?
1. Sodium influx
2. Potassium influx
3. Calcium influx
4. Chloride influx

Correct answer: 3. Calcium influx

Explanation: Ans. (c) Calcium influx(Ref: Ganong, 25th ed/p.521)In ventricular action potential, Phase 2 is the plateau phasePhase 2 is due to calcium influx